A developer at high temperature will cause
1. Clear white spots on the film
2. Yellow stains
3. Very dark image
4. Very light image

Correct answer: 3. Very dark image